Which of the following shows Kevorkian sign?
1. Retina
2. Sclera
3. Choroid
4. Vitreous

Correct answer: 1. Retina

Explanation: Kevorkian sign is fragmentation of blood column in retinal vessels which occurs few minutes after death and lasts for an hour. It is visualised by ophthalmoscope. Ref: K.S.Narayan Reddy's Synopsis of Forensic Medicine and Toxicology, 29th edition, Chapter 7, page-83.